In a controlled trial to compare two treatments, the main purpose of randomization is to ensure that-
1. The two groups will be similar in prognostic factors
2. The clinician does not know which treatment the subjects will receive
3. The sample may be referred to a known population
4. The clinician can predict in advance which treatment the subjects will receive

Correct answer: 1. The two groups will be similar in prognostic factors

Explanation: Randomization is an effort to control bias and allow for compatibility. Theoretically, it is possible to assure compatibility by matching. But when one matches one can only match those factors which are known to be important. There may be other factors which are known to be important. (refer pgno:82 park 23 rd edition)